All of the following are invasive carcinoma of breast except -a) Comedo carcinomab) Colloid carcinomac) Lobular carcinoma in situd) Medullary carcinoma
1. a
2. bc
3. ad
4. ac

Correct answer: 4. ac

Explanation: Comedocarcinoma and lobular carcinoma in situ are in situ carcinomas ( not invasive carcinoma )